Soap bubble appearance on MRI brain is characteristic of?
1. Tubercular meningitis
2. Neurocysticercosis
3. Cryptococcal cysts
4. Ependymoma

Correct answer: 3. Cryptococcal cysts

Explanation: Ans is 'c' i.e. Cryptococcal cysts * Gelatinous pseudocysts caused by Cryptococcus tend to give a "soap bubble" appearance on MRI.MRI findings in neural cryptococcosis* One of the most frequently described feature on MRI are dilated perivascular spaces and basal ganglia pseudocysts. Signal characteristics can vary dependant on the form of infection.A. Meningeal disease# T1 C+ (Gd): can show leptomeningeal enhancementB. Cryptococcomas# Tl: low signal# T2 / FLAIR: high signal# Tl C+ (Gd): variable, ranging from no enhancement to peripheral nodular enhancement.C. Gelatinous pseudocysts# Tend to give a "soap bubble" appearance.# Tl: low to intermediate (from mucin) signal# T2: high signal# FLAIR: low signal